Antisera are prepared from
1. Guinea pig
2. Rabbit
3. Rat
4. Horse

Correct answer: 4. Horse

Explanation: AntiseraIs a material prepared in animalsPassive immunization was achieved by the administration of antisera or antitoxins prepared from horsesAdministration of antisera give rise to serum sickness and anaphylactic shock(Refer: K. Park's Textbook of Preventive and Social Medicine, 24th edition, pg no:112)